Increased C-peptide is seen in -
1. Glucagoma
2. Insulinoma
3. Gastrinoma
4. Hepatoma

Correct answer: 2. Insulinoma